All are analytic studies except -
1. Field trials
2. Case-control
3. Cohort
4. Ecological

Correct answer: 1. Field trials